Which infection is common after organ transplantation:
1. Pneumocystii
2. Nocardia
3. Cytomegalovirus
4. Toxoplasma

Correct answer: 3. Cytomegalovirus

Explanation: Ans. C: Cytomegalovirus During months 1 through 6, the most common infections are due to viruses or opportunistic organisms. After the first 6 months, risk of infection is similar to the general population. CMV is the most common viral infection, occurring most commonly between the first and fourth post-transplant months. CMV is a herpes virus and infects between 25 and 85% of all liver transplant patients. CMV infection is rarely fatal. The viral infection may be primary or reactivated. Patients often present with fevers, malaise, arthralgias, atypical lymphocytes, thrombocytopenia, and mildly elevated transaminases levels. CMV pneumonitis often results in radiographic findings of bilateral infiltrates. Diagnosis is made serologically using an indirect immunofluorescence testing method. Treatment is effective when a diagnosis is made early and ganciclovir is beneficial. Pneumocystis Carinii Pneumonia may present with CMV infection or alone. Diagnosis sometimes requires a bronchoalveolar biopsy. Transplant recipients may be placed on long-term pneumocystic suppression therapy with trimethoprim-sulfamethoxazole.